Which is not elevated in a child presenting with icterus, Pruritus and clay coloured stools
1. Gamma glutamyl transpeptidase
2. Alkaline phosphatase
3. 5'- nucleotidase
4. Glutamate dehydrogenase

Correct answer: 4. Glutamate dehydrogenase

Explanation: The child is suffering from obstructive jaundice or Cholestasis Enzymes elevated in Chloestasis ALP 5'-Nucleotidase Gamma glutamyl transpeptidase Ref: Harrison's 19th edition Pg no : 1997